Which of the following sequel happens in Schistosomiasis of Bladder?
1. Squamous cell cancer
2. Adeno cancer
3. Lymphoma
4. Sarcoma

Correct answer: 1. Squamous cell cancer

Explanation: Ans. (a) Squamous cell cancerRef: Bailey And Love 27th Edition, Page 1444Cystoscopy features of schistosomiasis:* Bilharzial pseudo tubercles (Earliest feature)* Bilharzial nodules* Sandy patches (Dead calcified Ova)* Ulceration* Fibrosis* Granulomas* Papillomas* Carcinoma: Squamous and transitional cancer of bladder